Which of the following is not a cause of generalized increase in bone density in adults?
1. Myelosclerosis
2. Renal osteodystrophy
3. Fluorosis
4. Caffey's disease

Correct answer: 4. Caffey's disease

Explanation: Ans- D Ref- The causes of generalised increase in bone density in adult patients can be divided according to broad categories: myeloproliferative disorders: myelosclerosis marrow cavity is narrowed by endosteal new bone patchy lucencies due to persistence of fibrous tissue (generalised osteopenia in the early stages due to myelofibrosis) hepatosplenomegaly metabolic renal osteodystrophy poisoning fluorosis with periosteal reaction, prominent muscle attachments and calcification of ligaments and interosseous membranes changes are most marked in the innominate bones and lumbar spine neoplastic (more commonly multifocal than generalised) osteoblastic metastases: most commonly prostate and breasts lymphoma mastocytosis sclerosis of marrow-containing skeleton with patchy areas of radiolucency urticaria pigmentosa can have symptoms and signs of carcinoid syndrome idiopathic (more commonly multifocal than generalised) Paget disease: coarsened trabeculae, bony expansion and thickened cortex osteopetrosis There are several mnemonics for dense bones.